Gartner's cyst is seen in :
1. Fallopian tube
2. Uterus
3. Vagina
4. Labia

Correct answer: 3. Vagina

Explanation: C. i.e. Vagina Gartner's Cyst arises from remnant of mesonephric duct. & lies in anterolateral vaginal wall. It usually remain asymptomatic but may cause dyspareunia requiring excision or marsupialization.